The immunoglobulin mediates ADCC
1. IgM
2. IgA
3. IgG
4. IgE

Correct answer: 3. IgG

Explanation: IgG Antibody
o     Half life(23d),
o     High Serum concerntration (GAMDE) ,
Responsible for-
o     Precipitation,
o     neutralization,
o     NK cell (ADCC)
o  Classical complement
Appear late, indicates past / chronic infection